The time interval between diagnosis by early detection of screening and diagnosis by other means is -
1. Serial interval
2. Lead time
3. Time lag
4. Latent period

Correct answer: 2. Lead time

Explanation: Lead time

The lead time is the time period between diagnosis by early detection (i.e., earliest point of diagnosis by screening test) and diagnosis by standard diagnostic tests.
Lead time is the advantage gained by screening.